Glomerular filtration rate increases in pregnancy by
1. 15%
2. 25%
3. 40%
4. 50%

Correct answer: 4. 50%

Explanation: Both the glomerular filtration rate (GFR) and renal plasma flow increase early in pregnancy. The GFR increases as much as 25 percent by the second week after conception and 50 percent by the beginning of the second trimester(Ref: William's Obstetrics; 25th edition)